Which one of the following is NOT true regarding Noonan's syndrome -
1. Affects males and females
2. Short stature
3. Chromosomal abnormality
4. Congenital heart disease - ASD

Correct answer: 3. Chromosomal abnormality

Explanation: Ans. is 'c' i.e., Chromosomal abnormality